Which is involve in processing of post-transcriptional modification of mRNA:
1. Lariats formation
2. Splicing
3. Methylation
4. All of the above

Correct answer: 4. All of the above

Explanation: A i.e. Lariats formation; B i.e. Splicing; E i.e. Methylation